Buerger's angle that indicates severe ischaemia is
1. 120°
2. 80°
3. 60°
4. 30°

Correct answer: 4. 30°

Explanation: If Buerger's angle is < 30°, it indicates severe ischaemia.